All of the following conditions can give rise to pseudoproptosis, EXCEPT:
1. High myopia
2. Buphthalmos
3. Sinus mucocele
4. Lid retraction

Correct answer: 3. Sinus mucocele

Explanation: Pseudoproptosis refers to apparent proptosis in the absence of orbital disease. It can be due to high myopia, buphthalmos, or lid retraction. Sinus mucocele usually result in intermittent proptosis. Causes of pulsating proptosis are: Carotid-cavernous fistula Arterial orbital vascular malformation Transmission of cerebral pulsations due to a defect of the superior orbital roof, as in the sphenoid dysplasia of type 1 neurofibromatosis Proptosis that increases on bending the head forward or with Valsalva's maneuver is a sign of venous orbital vascular malformation (orbital varices) or meningocele. Ref: Sullivan J.H. (2011). Chapter 13. Orbit. In P. Riordan-Eva, E.T. Cunningham, Jr. (Eds), Vaughan & Asbury's General Ophthalmology, 18e.